Granuloma inguinale is caused by:
1. Lymphogranuloma venereum
2. Treponema pallidum
3. Calymmatobacterium granulomatis
4. Hemophilus ducreyi

Correct answer: 3. Calymmatobacterium granulomatis

Explanation: Granuloma inguinale  or Donovanosis is caused by Calymmatobacterium granulomatis.